In antacid preparation aluminum hydroxide is added with magnesium salt because -
1. Magnesium caused constipation
2. To counteracts constipating effect of aluminum hydroxide
3. To counteract the diarrhea action of aluminum
4. Aluminum salt causes diarrhea

Correct answer: 2. To counteracts constipating effect of aluminum hydroxide

Explanation: Ans is 'b' i.e., To counteracts constipating effect of aluminum hydroxide o Magnesium salts are laxative and aluminium salts are constipating and the combination of both salts neutralises each other's action and bowel movement may be least affected.